Which of the following most significantly increases the risk of Hepatocellular carcinoma ?
1. HBV
2. CMV
3. EBV
4. HAV

Correct answer: 1. HBV

Explanation: Both case-control and cohort studies have shown a strong association between chronic hepatitis B carrier rates and increased incidence of HCC.Ref: Harrison; 19th edition; Page no: 544